Insulin acts by which pathway-
1. Tyrosin kinase
2. JAK-STAT-Kinase
3. Transcription factor
4. Intrinsic ion channel

Correct answer: 1. Tyrosin kinase

Explanation: Ans. is 'a' i.e., Tyrosin kinase